Which prevents plasminogen activators ?
1. Streptokinase
2. Aminocaproic acid
3. Reteplase
4. Clopidogrel

Correct answer: 2. Aminocaproic acid

Explanation: Ans. is 'b' i.e., Aminocaproic acid Antifibrinolytics These drugs inhibit plasminogen activation and dissolution of clot. Examples are Epsilon amino-caproic acid (EACH), Aprotinin and Tranexaemic acid. These drugs are used for overdoses of fibrinolytic agents.